Generalised hyper cementosis is seen in
1. Hypophosphatasia
2. Pagets disease
3. Fibrous dysplasia
4. Cherubism

Correct answer: 2. Pagets disease